Congenital dacrocystitis, the block is at-
1. Lacrimal calnaliculi
2. Nasolacrimal duct
3. Punctum
4. None

Correct answer: 2. Nasolacrimal duct

Explanation: Also known as dacryocystitis neonaturum. Due to congenital blockage in the nasolacrimal duct. Ref: ak khurana 6th edition REF IMG